Bimodality of incidence occurs in all, except
1. Cancer penis in males
2. Hodgkin's disease
3. Breast cancer in females
4. Leukemia

Correct answer: 1. Cancer penis in males

Explanation: Ref Robbins Diseases showing bimodality of age presentation (mnemonic:ABCDEGH) A Aortic stenosis/acute leukemia -ALL,>AML Breast cancer Crohn's disease Dermatomyositis Enthesioneuroblastoma Thyoglossal cyst Hodkin's lymphoma Vulvar carcinoma but not penial cancer